Effectiveness of blood brain barrier is by
1. Thick basement membrane
2. Tight arrangement of astrocytes
3. Tight endothelial function
4. Microglial cell

Correct answer: 3. Tight endothelial function

Explanation: The blood-brain barrier is formed by endothelial cells of the capillary wall, astrocyte end-feet ensheathing the capillary, and pericytes embedded in the capillary basement membrane. Ref: guyton and hall textbook of medical physiology 12 edition page number:671,672,673